Which of the following can be oxidized by b- oxidation pathway?
1. Saturated fatty acids
2. Mono saturated fatty acids
3. Polyunsaturated fatty acids
4. All of these

Correct answer: 4. All of these

Explanation: Ans. D. All of theseb- oxidation is defined as the oxidation of fatty acids on the b- carbon atom. It is a characteristic feature of all the fatty acid. Even chain fatty acids are degraded to form Acetyl CoA and Odd chain fatty acids are degraded to form propionyl CoA. Due to the presence of double bonds in unsaturated fatty acids, there reactions are little bit different than saturated fatty acids. This is solved by the two additional enzymes- an isomerase and an epimerase.